Function of reverse transcriptase -
1. RNA dependent DNA synthesis
2. DNA dependent RNA synthesis
3. DNA dependent DNA synthesis
4. RNA dependent RNA synthesis

Correct answer: 1. RNA dependent DNA synthesis

Explanation: Ans. is 'a' i.e., RNA dependent DNA synthesis o Reverse transcriptase is an RNA dependent DNA polymerase that produces ds DNA from RNA template. It moves along the template in 3' - 5' direction, synthesizing DNA is 5' - 3' directiono It is seen in retro viruses (e.g. HIV).